The most common form of fetal traumatic injury incurred during breach extraction is:
1. Rupture of the liver
2. Rupture of the spleen
3. Intraadrenal hemorrhage
4. Intracranial hemorrhage

Correct answer: 4. Intracranial hemorrhage

Explanation: birth trauma intracranial haemorrhage due to uncontrolled delivery of the head and rupture of the veins of Galen or tentorial or falx tears Skull fractures Fracture dislocation of cervical vertebra and atlantoaxial dislocation (refer pgno:377 sheila textbook of obstetrics 2 nd edition)